Which or face presentation :
1. Anencephaly
2. Contracted pelvis
3. Thyroid swelling
4. All

Correct answer: 4. All

Explanation: Ans is a, b and c i.e. Anencephaly, Contracted pelvis and thyroid I know it is difficult to mug up the causes of different malpresentations. To help you out I am telling you an easy way to remember the causes of face presentation. Causes or I-ace presentation : A. Causes similar in face and breech presentation : D - IUD A - Anencephaly M - Multiparity P - Prematurity B. Causes related to neck : Tumour of neck (Congenital branchocele, congenital goitre). Twist of the cord round the neck. Increased tone of extensor group of neck muscles. C. Other causes : Lateral obliquity of uterus Contracted pelvis/Flat pelvis Remember : Most common congenital arnomaly associated with face presentation is Anencephaly.deg